All the following effects are seen with cocaine except
1. Black pigmentation of tongue
2. Nasal septal perforation
3. Freebasing
4. Sympatholytic effect

Correct answer: 4. Sympatholytic effect

Explanation: Cocaine is a kind of sympathomimetic, produce vasoconstriction It acts as local anaesthetic .inhibits the reuptake of neurotransmitters Ref: Essentials of postgraduate psychiatry By JN Vyas 1st ed Pg. 345